Non - union is a complication of :
1. Scaphoid
2. Colle's
3. Inter- trochanteric of hip
4. Supra condylor of the humerus

Correct answer: 1. Scaphoid

Explanation: A i.e. Scaphoid Fracture Fracture head & neck femur, fracture body of talus and fractures through waist of scaphoid most commonly leads to nonunion and avascular necrosis due to poor blood supplyQ